A young man with tuberculosis presents with massive recurrent hemoptysis. For angiographic treatment which vascular structure should be evaluated first
1. Pulmonary artery
2. Bronchial artery
3. Pulmonary vein
4. Superior vena cava

Correct answer: 2. Bronchial artery

Explanation: Ans. is 'b' i.e., Bronchial artery Most common vessel responsible for the hemoptysis in TB (or even in Bronchitis, Bronchiectasis, or Bronchogenic carcinoma) are the bronchial arteriesSchwartz surgery writes - "As with lung abscess and bronchiectasis, the intense inflammatory process in the periphery of a tuberculous cavity tends to promote hypertrophy of bronchial arterial and pulmonary arterial branches. These may be eroded by the necrotizing processin the centre of the cavity to produce hemoptysis. The vessel responsible is most frequently a dilated bronchial arterial branch, referred to as a Rasmussen aneurysm"